For bleeding varices of the esophagus, the common operation/operations is/are
1. Portocaval shunt
2. Gastrectomy
3. Splenectomy
4. All of the above

Correct answer: 1. Portocaval shunt

Explanation: In portal hypertension, as in the case of cirrhosis of the liver, the anastomoses become congested and form venous dilatations. Such dilatation can lead to esophageal varices and anorectal varices. Caput medusae can also result. A portacaval shunt (or portal caval shunt) is a treatment for portal hypertension. A connection is made between the portal vein, which supplies 75% of the liver's blood, and the inferior vena cava, the vein that drains blood from the lower two-thirds of the body. Ref:Sabiston 20th edition Pgno :1439